Vitamin K is given to a patient with jaundice, but PT remains unchanged. Probable cause is
1. Obstructive Jaundice
2. Cirrhosis
3. Hemolytic Jaundice
4. Pre-renal Failure

Correct answer: 2. Cirrhosis

Explanation: An elevated prothrombin time indicates either vitamin K deficiency due to prolonged jaundice and malabsorption of vitamin K or significant hepatocellular dysfunction. The failure of the prothrombin time to correct with parenteral administration of vitamin K indicates severe hepatocellular injuryReference: Harrison's Principles of Internal Medicine; 19th edition; Chapter 58; Jaundice